About Cushing syndrome all are true except:
1. Purple striae
2. Plethora
3. Hypoglycemia
4. Obesity

Correct answer: 3. Hypoglycemia

Explanation: c. Hypoglycemia(Ref: Nelson's 20/e p 2714-2723, Ghai 8/e p 526-527)Hyperglycemia is a feature of Cushing's syndrome and not hypoglycemia.